75% Lymph from breast goes to
1. Axillary L.N.
2. Subclavicular L.N.
3. Internal mammary L.N.
4. Cephalic L.N.

Correct answer: 1. Axillary L.N.

Explanation: Answer- A. Axillary L.N.Lymphatic drainage of Breast is as follows : -Axillary nodes (75%)Internal mammary or Paresternal nodes (20%)Posterior intercostal lymph nodes (5%)